Wasserman test is?
1. Agglutination test
2. Precipitation test
3. Neutralisation test
4. Complement fixation test

Correct answer: 4. Complement fixation test

Explanation: The Wassermann test or Wassermann reaction (WR) is an antibody test for syphilis, named after the bacteriologist August Paul von Wassermann, based on complement fixation. It was the first blood test for syphilis and the first in the nontreponemal test (NTT) category. Newer NTTs, such as the RPR and VDRL tests, have mostly replaced it. Ref: Ananthanarayana & panikers 9th edition